Node of Rouviere is
1. Retropharyngeal
2. Pharyngeal
3. Nasopharyngeal
4. Retromolar trigone

Correct answer: 1. Retropharyngeal

Explanation: Ref: Various articles & internet sources
Node of Rouviere is the most superior of the lateral group of the retropharyngeal lymph nodes. It is found at the base of the skull. They represent one of the first echelon lymphnodes typically involved in nasopharyngeal carcinoma (NPC).